A screening test becomes more sensitive when,
1. Less False positive
2. Less False Negative
3. More False Positive
4. More False Negative

Correct answer: 2. Less False Negative